A thorough visual and tactile examination of hard and soft tissue relies on checking the three Cs, which does not include:
1. Colour
2. Cell
3. Consistency
4. Contour

Correct answer: 2. Cell

Explanation: A thorough visual and tactile ex-amination of hard and soft tissue relies on checking the "three Cs": color, contour, and consistency